Angelman syndrome is due to?
1. Mitochondrial inheritance
2. Chimerism
3. Mosaicism
4. Uniparental disomy

Correct answer: 4. Uniparental disomy

Explanation: Angelman syndrome and prader willi syndrome are example of unipareantal disomy.